Due to inward or outward movement of dentinal fluid exciting the nerve endings
1. Direct neural stimulation theory
2. Hydrodynamic theory
3. Transduction theory
4. All of the above

Correct answer: 2. Hydrodynamic theory